Which of the following refers to the part of the foetus that occupies the lower segment of the uterus ?
1. The attitude
2. The presenting part
3. The lie
4. The presentation

Correct answer: 4. The presentation

Explanation: Fetal Lie The relationship between longitudinal axis of fetus to longitudinal axis of centralized uterus or maternal spine. Attitude Relation of the various parts of the fetus to each other. Universal fetal attitude is Flexion. Presentation The part of fetus which occupies lower pole of Uterus. Presenting part Part of presentation which overlies internal os